True about gastric acid secretion:
1. Secretion ,l,ses with secretin
2. H2 blockers prevent release
3. Total acid output indicates parietal cell mass activity
4. All

Correct answer: 4. All

Explanation: A i.e. Secretion decreases with secretin B i.e., H2 blocker prevents relapse C i.e., Total acid output indicates parietal cell mass activity